Dying back neuropathy is seen in all, except:
1. Diabetic neutropathy
2. Arsenic neuropathy
3. Porphyria
4. Gullian Bare Syndrome (GBS)

Correct answer: 4. Gullian Bare Syndrome (GBS)

Explanation: Dying back neuropathy or distal axonopathy is the result of some metabolic or toxic derangement of neurons. It is the most common response of neurones to metabolic or toxic disturbances, and may be caused by metabolic diseases such as diabetes, renal failure, malnutrition, toxins, drugs etc. GBS is a post infectious polyneuropathy that causes demyelination in mainly motor but sometimes also sensory nerves. It is not predominant distal axonopathy. Ref: Fundamentals of Neurology: An Illustrated Guide By Marco Mumenthaler, Heinrich Mattle, Page 176